Amarosis fugax is ?
1. Transient blindness
2. Unilateral nystagmus
3. Depupillary reflex
4. Bilateral strabismus

Correct answer: 1. Transient blindness

Explanation: Ans. is 'a' i.e., Transient blindness Amaurosis fugax Sudden, temporary and painless monocular visual loss occurring due to a transient failure of retinal circulation. Causes : Carotid transient ischaemic attacks (TIA), embolization of retinal circulation, papilloedema, giant cell arteritis, Raynaud's disease, migraine, as a prodromal symptom of central retinal artery or carotid artery occlusion, hypertensive retinopathy, and venous stasis retinopathy. Symptom : An attack of amaurosis fugax is typically described by the patients as a curtain that descends from above or ascends from below to occupy the upper or lower halves of their visual fields. Clinical Signs : The attack lasts for two to five minutes and resolves in the reverse pattern of progression, leaving no residual deficit. Due to brief duration of the attack, it is rarely possible to observe the fundus. When observed shortly after an attack, the fundus may either be normal or reveal signs of retinal ischemia such as retinal oedema and small superficial haemorrhages. In some cases, retinal emboli in the form of white plugs (fibrin-platelet aggregates) may be seen.